Substrate level phosphorylation is seen in the conversion of:
1. Acetoacetate to a-keto glutarate
2. Succinyl CoA to Succinate
3. Fumarate to malate
4. Succinate to fumarate

Correct answer: 2. Succinyl CoA to Succinate

Explanation: B i.e. Succinyl CoA to succinate